Safety pin index for oxygen cylinder is-
1. 2,5
2. 3,5
3. 1,5
4. 1,4

Correct answer: 1. 2,5

Explanation: Safety pin index cylinder for oxygen is 2 , 5 . It is done to prevent wrong fitting of cylinders .